Identity the true statement about Pulmonary embolism:
1. S1 Q3 T3 is the most common ECG finding seen
2. There will be Left axis deviation
3. D-dimer is the gold standard investigation
4. Sinus tachycardia is most common finding on ECG

Correct answer: 4. Sinus tachycardia is most common finding on ECG

Explanation: S1 Q3 T3 is highly predictive sign but not the most common ECG finding. And there will be right axis deviation.
D-Dimer is best for screening not gold standard investigation.